Risk factor for development of gastric Ca
1. Blood group O
2. Duodenal ulcer
3. Intestinal hyperplasia
4. Intestinal metaplasia type III

Correct answer: 4. Intestinal metaplasia type III

Explanation: Risk factors are:Long-term ingestion of high concentration of nitrates.H.pyloriIntestinal metaplasia in patients with atrophic gastritis.Gastric ulcers and adenomatous polyps.Menetrier's disease.Patients with blood group A have a higher incidence of Ca stomach than blood group O.Note: duodenal ulcers are not associated with gastric cancer.